Extent of nicotinic receptor blockade required for neuromuscular transmission failure due to non-depolarizing neuromuscular blockers:-
1. <5%
2. About 20%
3. About 30%
4. >80% - 90%

Correct answer: 4. >80% - 90%

Explanation: Non depolarising neuromuscular blocker are competitive blockers and when more than 80 -90 % receptor is blocked then only neuromuscular transmission fails. Characteristic of NDNB 1. Decreased twitch response to a simple stimulus. 2. Fade on tetanic stimulus 3. Train of four response is seen 4. TOF ratio <1 5. Post tetanic potentiation 6. Potentiation of other nondepolarising drugs Antagonism by anticholinesterase